Carbenicillin:
1. Is effective in pseudomonas infection
2. Has no effect in Proteus infection
3. Is a macrolide antibiotic
4. Is administered orally

Correct answer: 1. Is effective in pseudomonas infection

Explanation: Ans. (A) Is effective in pseudomonas infection(Ref: KDT 8/e p773)Carbenicillin is a penicillin congener effective against pseudomonas and indole positive proteus which are not inhibited by penicillin G or ampicillin/amoxicillin.It is inactive orally and excreted rapidly in urine. It is sensitive to penicillinase and acid, so administered parenterally as sodium salt.